Pugilistic attitude is most common in woman dying with -a) Antemortem burnsb) Post mortem burnsc) Asphyxiad) Carbon monoxide poisoning
1. ac
2. ab
3. ad
4. bc

Correct answer: 2. ab